A 45 year old female patient reports to the clinic with a history of pain with tooth 37. The tooth appears normal on clinical and radiographic examination except for the fact that pain occurs on biting on a hard object and then releasing the bite.

The most probable cause for the pain may be
1. Occult caries
2. Periodontitis
3. Cracked tooth
4. Maxillary sinusitis

Correct answer: 3. Cracked tooth